During regulatory volume decrease, many cells will increase
1. Their volume
2. Influx of Na+
3. Efflux of K+
4. Synthesis of sorbitol

Correct answer: 3. Efflux of K+

Explanation: K+ is the major intracellular ion; efflux of K+ will produce an osmotic flow of water out of the cell. Water exit will lead to a decrease in cell volume.An influx of Na+ and synthesis of sorbitol do not occur during this process because both processes would increase intracellular osmolytes and drive water into the cell, increasing cell volume.Ref: Guyton; 13th edition